Generation time of lepra bacilli is -
1. 12 days
2. 5 minutes
3. 10 hours
4. 24 hrs

Correct answer: 1. 12 days

Explanation: Ans. is 'a' i.e., 12 days